0.1 to 0.2 mm nebular corneal opacity is treated by –
1. Penetrating keratoplasty
2. Lamellar keratoplasty
3. Enucleation
4. Evisceration

Correct answer: 2. Lamellar keratoplasty

Explanation: Central nebular opacity is treated by phototherapeutic keratectomy with an excimer laser (treatment of choice) or lamellar keratoplasty.